A biopsy of an enlarged salivary gland from an individual with Sjogren's syndrome is most likely to histologically reveal an extensive infiltrate of
1. Epithelioid cells
2. Basophils
3. Lymphocytes
4. Neutrophils

Correct answer: 3. Lymphocytes

Explanation: Sjogren's syndrome is characterized by dryness of the mouth (xerostomia) and eyes (keratoconjunctivitis sicca). Secondary Sjogren's syndrome is associated with rheumatoid arthritis (RA), SLE, or systemic sclerosis. The primary form shows increased frequency of HLA-DR3, while association with RA shows a positive correlation with HLA-DR4. Anti-SSB antibodies are fairly specific, antiSSA less so, and both may occur in SLE; rheumatoid factor is often present. Glomerular lesions are very rare, but a mild tubulointerstitial nephritis is quite common and may result in renal tubular acidosis. In addition to the usual dense, lymphoplasmacytic infiltrate of salivary glands, the lymph nodes may show a "pseudolymphomatous" appearance. True B cell lymphomas have developed with increased frequency in Sjogren's syndrome Reference: Robbins & Cotran Pathologic Basis of Disease, 9edition.